True about thoracic duct :
1. It passes through aortic opening of diaphragm
2. It starts at the level of T3 vertebra
3. It opens into superior vena cava
4. All

Correct answer: 1. It passes through aortic opening of diaphragm

Explanation: A i.e. It passes through aortic opening of daphragm